Chronic Carrier State is seen in -
1. Measles
2. Influenza
3. HepatitisB
4. Pertussis

Correct answer: 3. HepatitisB

Explanation: Ans. is 'c' i.e., hepatitis B Incubatory carrierConvalescent carrierHealthy carrierChronic carriero Measleso Mumpso Polioo Pertusiso Influenzao Diphtheriao Hepatitis Bo Typhoid fevero Dysentery (bacillary and amebic)o Cholerao Diphtheriao Whooping cougho Poliomyelitiso Cholerao Meningoccal meningitiso Salmonellao Diphtheriao Typhoid fevero Hepatitis Bo Dysenteryo Cerebrospinal meningitiso Malariao Gonorrheao DiphtheriaNote: Typhoid, hepatitis B and dysentery may have both temporary as well as chronic carriers.